Upper reference curve in growth chart is:
1. 50th percentile
2. 60th percentile
3. 70th percentile
4. 80th percentile

Correct answer: 1. 50th percentile

Explanation: 50th percentile